Capitate bone articulates with all EXCEPT
1. Second metacarpal
2. Lunate
3. Trapezium
4. Scaphoid

Correct answer: 3. Trapezium

Explanation: The capitate bone is the largest of the carpal bones in the human hand, and occupies the center of the wrist. It articulates with trapezoid (not trapezium) bone.